Mark the false statement regarding L forms of bacteria
1. Also known as cell wall deficient bacteria
2. It was first isolated in Streptobacillus
3. Develops from only gram negative bacteria
4. Can lead to bacterial persistence during antibiotic treatment

Correct answer: 3. Develops from only gram negative bacteria

Explanation: L-forms bacteria/asL-phase bacteria Also known as L-phase variants or cell wall-deficient(CWD)bacteria Grow as spheroplasts or protoplasts. 1st isolated working on a culture of "Streptobacillus moniliformis." L forms may not initiate a disease however they can lead to bacterial persistence during antibiotic treatment = Recurrence of infection. It was used in Lister institute in London 2 types Unstable L-forms - Spheroplasts that are capable of dividing, but can revert to the original morphology Stable L-forms - L-forms that are unable to revert to the original bacteria. Although L-forms can develop from Gram positive as well as from Gram negative bacteria but during Gram stain, the L-forms always colour Gram-negative, due to the lack of a cell wall.